Irresistable urge to do a thing repeatedly is seen in
1. Obsessive compulsive disorder
2. Schizophrenia
3. Schizoaffective disorder
4. Depression

Correct answer: 1. Obsessive compulsive disorder

Explanation: Ans. a (Obsessive compulsive disorder). (Ref Harrison, Medicine, 18th/ch. 391)OBSESSIVE-COMPULSIVE DISORDER (OCD)# Definition- is a psychiatric disorder, specifically, an anxiety disorder. OCD is manifested in a variety of forms, but is most commonly characterized by a subject's obsessive (repetitive, distressing, intrusive) thoughts and related compulsions (tasks or rituals) which attempt to neutralize the obsessions.- Characterized by recurrent Obsessions or Compulsions that are recognized by the individual as unreasonable- Undoing = Compulsion "Acts" in Obsessive Compulsive Disorder.- Obsessions: Anxiety-Provoking & Intrusive Thoughts commonly concerning Contamination, Doubt, Guilt, Aggression & Sex- Compulsions: Peculiar Behaviors that reduce Anxiety via Hand-Washing, Organizing, Checking, Counting & Praying# Risk Factors/Etiology- Associated with abnormalities of Serotonin metabolism# Prevalence:- 2% of population.- Occurs at a 1 to 1 male-to-female ratio ***# Onset:- Insidious & occurs during childhood, adolescence or early adulthood# Physical Examination- Chapped hands when hand-washing compulsion is present# Treatment- Pharmacotherapy: SSRI (Fluoxetine or Fluvoxamine) & Clomipramine- Behavioral Psychotherapies: Relaxation Training, Guided Imagery, Exposure,- Response Prevention, Thought Stopping Techniques & Modeling